Which of the following is not a serotonin-norepine-phrine reuptake inhibitor?
1. Venlafaxine
2. Duloxetine
3. Milnacipran
4. Tianeptin

Correct answer: 4. Tianeptin

Explanation: Tianeptin is an atypical anti depressant. All others are SNRI. Ref KD Tripati 8th ed.